All of the following enzymes is/are involved in neoglucogenesis, except
1. Phosphoglycerate kinase
2. Fructose 1, 6-biphosphatase
3. Phosphoglucomutase
4. Pyruvate carboxylase

Correct answer: 3. Phosphoglucomutase

Explanation: Phosphoglycerate mutase is involved in gluconeogenesis, not phosphoglucomutase.
Phosphoglucomutase is involved in glycogenesis (glycogen synthesis).

Enzyme in gluconeogenesis 

Seven of the reactions of glycolysis are reversible and are used in the synthesis of glucose by gluconeogenesis. Thus, seven enzymes are common to both glycolysis and gluconeogenesis: (i) Phosphohexose isomerase; (ii) Aldolase; (iii) Phosphotriose isomerase; (iv) Glyceraldehyde 3-phosphate dehydrogenase; (v) Phosphoglycerate kinase; (vi) Phosphoglycerate mutase; (vii) Enolase.
Three of the reactions of glycolysis are irreversible and must be circumvented by four special reactions which are unique to gluconeogenesis and catalyzed by : (i) Pyruvate carboxylase, (ii) PEP carboxykinase, (iii) Fructose-1, 6-bisphosphatase, (iv) Glucose-6-phosphatase.